Testing of HLA-B57:07 is recommended prior to the initiation of which of the following anti-retroviral agents
1. Atazanavir
2. Nelfinavir
3. Raltegravir
4. Abacavir

Correct answer: 4. Abacavir

Explanation: Abacavir is a nucleoside reverse transcriptase inhibitors (NRTIs) used to treat human immunodeficiency virus (HIV) infection. The HLA-B*57;01 allele has been associated with hypersensitivity to Abacavi. Due to the potential for severe, serious and possibly fatal hypersensitivity reactions with Abacavir sulfate, the US-FDA recommends screening for the HLA-B*57:01 allele before initiating therapy with Abacavir. Abacavir should be used in anyone known into carry the HLA-B*57:01 locus (approximately 10% of caucasians) 2017 statement from the US Food and drug Administration (FDA) Due to the potential for severe, serious and possibly fatal hypersensitivity reactions with abacavir sulfate Serious and sometimes fatal hypersensitivity reactions have occured with Abacavir sulfate These hypersensitivity reactions have included multi-organ failure and anaphylaxis Reactions have typically occured within the first 6 weeks of treatment with Abacavir sulfate (median time to onset was 9 days); although Abacavir hypersensitivity reactions may occur any time during treatment. Patients who carry the HLA-B*57:01 allele are at a higher risk of Abacavir hypersensitivity reactions; although patients who do not carry the HLA-B*57:01 allele may also developed hypersensitivity reactions All patients should be screened for the HLA-B*57:01 allele prior to initiating therapy with abacavir tablets or reinitiation of therapy with abacavir tablets, unless patients have a previously documented HLA-B*57:01 allele assessment Abacavir tablet is contraindicated in patients with a prior hypersensitivity reaction to abacavir and in HLA-B*57:01 positive patients Ref: Goodman and Gilman 13th edition Pgno: 1143